A normal baby is able to self-spoon-feed at the age of
1. 18 months
2. 12 months
3. 9 months
4. 6 months

Correct answer: 1. 18 months

Explanation: Using a fork and spoon: Some toddlers start wanting to use utensils as early as 13 months, and most children have figured out this all-important skill by 17 or 18 months. By age 4, your child will probably be able to hold utensils like an adult and be ready to learn table manners.